Troglitazone i? the drug used in the treatment of:
1. Petit mal epilepsc
2. Type 2 diabetes meliitus
3. Hyperlipidaemia
4. D. Osteoporosis

Correct answer: 2. Type 2 diabetes meliitus

Explanation: Ans: B (Type 2 diabetes meliitus) Ref: Goodman tfi Gillman v Tin Pharmacological Basis of Therapeutics 2011, 12th Edition, McGrow Hill. Burton LL.P 1261-62Explanation:TroglitazoneAs a Monotherapy it is not useful in Type 1 diabetes beeause it needs presence of insulin for its action.Troglitazone is withdrawn from the market because it is known to cause severe fatal hepatic failure.The newer thiazolidenidiones like Pioglitazone and rosiglitazone are known to cause CHF as a result of fluid retention.Rosiglitazone is found to be associated with increased risk of cardiovascular events.Pioglitazone can reduce the TG levels by 10- 15% because of its action on PPARA